Reconstriction of tip of nose after excision of basal cell carcinoma is done by?
1. Bipedicled flap
2. Bilobed flap
3. Full thickness skin graft
4. Split skin graft

Correct answer: 2. Bilobed flap

Explanation: Answer- B. Bilobed flapBilobed flap is used to cover a convex defect as on tip of nose.The bilobed flap is widely used for small nasal defects because it allows one to distribute tensions further from the primary defect, thus controlling the degree of tension along the alar margin.